Which of the following agents do not act via GABAA – Cl– channel complex receptors ?
1. Zopiclone
2. Benzodiazepines
3. Thiopentone
4. Promethazine

Correct answer: 4. Promethazine